Richest source of vitamin D is:
1. Fish
2. Soyabean
3. Halibut liver oil
4. Vegetables

Correct answer: 3. Halibut liver oil

Explanation: Ans. C i.e. Halibut liver